Foot drop is due to injury of:
1. Lateral cutaneous nerve
2. Common peroneal nerve
3. sural nerve
4. none

Correct answer: 2. Common peroneal nerve

Explanation: B; Common peroneal nerve